Programmed cell death is seen in?
1. Cytolysis
2. Apoptosis
3. Necrosis
4. Proptosis

Correct answer: 2. Apoptosis

Explanation: Ans. is 'b' i.e., Apoptosis o Programmed cell death is apoptosiso Apoptosis is pathway of cell death that is induced by a tightly regulated intracellular program in which cell destined to die activate enzymes that degrade the cell's own nuclear DNA, and nuclear & cytoplasmic proteins. Apoptosis generally involves single cells in contrast to necrosis that usually involve a group of cells. Apoptosis may be of two types -a) Physiological (most of the time) - Programmed cell death.b) Pathological - Unprogrammed cell death.